Safety pin index for oxygen cylinder is?
1. 2, 5
2. 3,5
3. 1,5
4. 1,4

Correct answer: 1. 2, 5

Explanation: Ans. is 'a' i.e., 2, 5 Gas Pin index Oxygen 2,5 Nitrous oxide 3,5 Cyclopropane 3, 6 Air 1, 5 Nitrogen 1, 4 Entonox (50% 02 + 50%N,0) Single central (7) Carbon dioxide (<7.5%) 2, 6 Carbon dioxide (> 7.5%) 1, 6